Local anaesthetic used as an antiarrhythmic agent is:
1. Bupivacaine
2. Lignocaine
3. Cocaine
4. Chlorprocaine

Correct answer: 2. Lignocaine